Which of these is a definitive treatment for  Gravae thyrotoxicosis?
1. Carbimazole
2. Sterioid
3. Hemithyroidectomy
4. Radioiodine

Correct answer: 4. Radioiodine